Tamoxifen given in breast carcinoma for
1. 2 years
2. 3 years
3. 5 years
4. Lifelong

Correct answer: 3. 5 years

Explanation: Women with hormone receptor-positive tumours will obtain a worthwhile benefit from at least 5 years of endocrine therapy, either 20 mg daily of tamoxifen if premenopausal or the Aromatase Inhibitors (anastrozole, letrozole, and exemestane) if postmenopausal. Recent trials have shown that longer durations of endocrine therapy provide a small extra benefit but with increased toxicity.It is no longer appropriate to give hormone therapy to women who do not have oestrogen or progesterone receptor-positive disease. Ref: Bailey and Love, 27e, page: 878